Differentia] cyanosis occurs in which disease -
1. Severe coarctation
2. Inturrupted aortic arch
3. PPHN
4. All of above

Correct answer: 4. All of above

Explanation: Ans. is 'd' i.e., All of above Differential cyanosis -o With normally related great arteries, oxygen saturation may be higher in the upper than lower extremity' in patients if there is right-to-left shunting through the ductus arteriosus.# Seen with severe coarctation or interrupted aortic arch.#. May also occur in patients persistent pulmonaiy hypertension of the newborn.o The differential effect is reduced if there is also right-to-left shunting at the level of the foramen ovale, or if there is left-to-right shunting across coexisting ventricular septal defect